Most common Non-Hodgkin's lymphoma of orbit
1. B Cell
2. T Cell
3. NK Cell
4. Plasma cell

Correct answer: 1. B Cell

Explanation: Orbital lymphoma MC type of cancer of the orbit in adults. Usually a form of B-Cell Non-Hodgkin's lymphoma Clinical features It may show up as a nodule in the Eyelid or around the eye, or it may cause the eye to be pushed out. This type of eye cancer usually does not cause pain. Diagnosis First step in diagnosis of orbital lymphoma may be a CT scan of the orbit followed by a surgical biopsy Making the correct diagnosis of the biopsy is very important Treatment Radiation therapy, Monoclonal antibody therapy, chemotherapy or a combination of these, depending on type of lymphoma the stage of the tumor Ref : www.mdanderson.org/patient-and-cancer-information/cancer-informatuib/cancer-types/eye-cancer/orbit.html